Injury to the male urethra below the perineal membrane causes urine to accumulate in which part of perineum:
1. Superficial perineal pouch
2. Deep perineal pouch
3. Space of retzius
4. Pouch of douglas

Correct answer: 1. Superficial perineal pouch

Explanation: Injury to the male urethra below the perineal membrane causes urine accumulation in the superficial perineal pouch. Injury to male urethra above the perineal membrane results in urine accumulation in pelvic extra-peritoneal tissues.Ref: Human Anatomy, B D Chaurasia, 4th Edition, Volume 2, Chapter 28, Page 332; Clinical Anatomy by Systems, Richard S. Snell, 2007 Edition, Chapter 22, Page 845, 847.